Which of the following statements is true about Rectal atresia?
1. Usually a fistula is present with the urethra or bladder
2. Anus is usually normal
3. Stricture of the rectum
4. Common type of anorectal malformation

Correct answer: 2. Anus is usually normal